Hind milk is rich in?
1. Water
2. Fat
3. Proteins
4. Zinc

Correct answer: 2. Fat

Explanation: Ans. b (Fat) (Ref. OP Ghai Essential Paediatrics 6th ed., 150)HIND MILK comes later towards the end of feed and richer in fat content and provides more energy, and satisfies the baby's hunger. Thus the composition of milk also varies during the phase of feeding. For optimum growth, the baby needs both fore and hind milk. The baby should therefore be allowed to empty one breast before being offered the other breast.COLOSTRUMIt is the milk secreted during the first ten days after delivery. It is yellow and thick.It contains more antibodies and cells and high amounts of vitamin A, D, E and K.TRANSITIONAL MILKIt is the milk secreted during the following two weeks.The immunoglobulin and protein content decreases while the fat and sugar content increases.MATURE MILKIt follows transitional milk.It is thinner and watery but contains all the nutrients essential for optimal growth of the baby.PRETERM MILKThe milk of a mother who delivers prematurely contains more proteins, sodium, iron, Ig and calories as they are needed for the preterm baby.FORE MILKIt is the milk secreted at the start of a feed.It is watery and is rich in proteins, sugar, vitamin, minerals, and water that satisfy the baby's thirst.